In a case of Dysgerminoma of ovary one of the following tumor markers is likely to be raised :
1. Serum HCG
2. Serum alphafetoprotein
3. Serum lactic dehydrogenase
4. Serum inhibin

Correct answer: 3. Serum lactic dehydrogenase

Explanation: Ans. is c i.e. Serum lactic dehydrogenase however placental alkaline phosphate and lactate dehydrogenase are commonly produced by dysgerminomas and may be useful in monitoring the disease."